Young's operation is done for:
1. Allergic rhinitis
2. Atrophic rhinitis
3. Vasomotor rhinitis
4. Viral rhinitis

Correct answer: 2. Atrophic rhinitis

Explanation: (b) Atrophic rhinitis(Ref. Scott Brown, 6th ed., 4/8/ 27)Allergic rhinitis is managed by antihistaminics, decongestants and steroid nasal spray.Vasomotor rhinitis is managed by local and systemic decongestants and if required vidian neurectomy.In viral rhinitis only symptomatic treatment is given.